True about pectinate line ?
1. Blood supply above pectinate line is through superior rectal artery
2. Lymphatic drainage above pectinate line is through superfical inguinal nodes
3. Part above pectinate line develops from proctodeum
4. Part above pectinate line is supplied by somatic nerves

Correct answer: 1. Blood supply above pectinate line is through superior rectal artery

Explanation: Blood supply above pectinate line is through superior rectal arteryPart of anal canal above pectinate line develops from dorsal part of endodermal cloaca (primitive rectum) and part of anal canal below pectinate line develops from ectodermal proctodeum.Mucous membrane above pectinate line is supplied by autonomic nerves (sympathetic L1 L2 and parasympathetic: S2 S3 S4) and therefore is insensitive to pain. Part below the pectinate line is supplied by somatic nerves (inferior rectal nerve a branch of pudendal nerve) and therefore is sensitive to pain. Thus pain sensations are carried by pudendal nerve.Pectinate line forms the water-shed line of anal canal. Area above pectinate line drains into internal iliac nodes and area below it drains into superficial inguinal nodes.Arterial supply of the area is above pectinate line is through superior rectal artery (continuation of inferior mesenteric artery) and area below pectinate line is supplied by inferior rectal artery.